55 year old male patient who is a know case of chronic kidney disease present to emergency with vomiting and Is diagnosed with uremic acidosis. His ABG analysis report is
pH= 7.42
pCO2= 40
HCO3= 25
Na+= 140 mmol/L
K+= 3 mmol/L
Cl-= 95 mmol/L
1. Respiratory acidosis
2. Respiratory Alkalosis
3. High Anion Gap metabolic acidosis + metabolic alkalosis
4. High Anion Gap metabolic acidosis + Respiratory Alkalosis

Correct answer: 3. High Anion Gap metabolic acidosis + metabolic alkalosis

Explanation: PH is higher, but CO2 and HCO3 look normal. So look at Anion gap = 20 .
But difference in HCO3 = 0  so is a case of High Anion Gap metabolic acidosis + metabolic alkalosis.